Most common complication of TURP
1. Hyponatremia
2. Retrograde ejaculation
3. Stricture
4. Infection

Correct answer: 2. Retrograde ejaculation

Explanation: Retrograde ejaculation is MC complication of TURP due to injuiry to openings of ejaculatory ducts.